NRTI which has maximum tendency to cause peripheral neuropathy
1. Zidovudine
2. Stavudine
3. Lamivudine
4. Didanosine

Correct answer: 2. Stavudine

Explanation: Ans. (b) StavudineRef KDT 6th ed. / 770* NRTIs are reverse transcriptase inhibitors, which control the dsDNA formation from ssRNA* Drugs in the category are: Zidovudine, Stavudine, Didanosine, Lamivudine, Abacavir, Zalcitabine.Also Know* ZIDOVUDINE# Most commonly used NRTI in the treatment of HIV# Used as prophylaxis in needle stick injury and to decrease vertical transmission from HIV mother to fetus.# Side effect: bone marrow suppression.* Drug of choice for decreasing vertical transmission from HIV mother to fetus: NEVIRAPINE* Safest NRTI: LAMIVUDINE* All NRTIs casues acute pancreatitis and peripheral neuropathy.# Maximum risk of acute pancreatitis with: DIDANOSINE# Maximum risk of peripheral neuropathy with: STAVUDINE